In Complete ACL rupture the tibia moves over the femur in which direction -
1. Forward
2. Backward
3. lateral
4. Medial

Correct answer: 1. Forward

Explanation: Ans. is 'a' i.e., Forward ACL injuryo ACL is the most commonly injured ligament of knee.o Most common mechanism of injury is twisting (medial rotation) with valgus injury on semiflexed kneeo Often with this mechanism MCL and medial meniscus are also injured. This triple injury of ACL, MCL and medial meniscus is called O'Donghue triado Isolated ACL can also be injured by hyperextension injuryo There is excessive anterior translation of the tibia over femur in ACL Injury.Tests for ACL injuryo Following tests are used for ACL injury:-i) Lachman'stestii) Anterior drawer testiii) Pivot shift testiv) Jerk testv) Flexion-rotation drawer testvi) Loose's testo Lachman's test is the most sensitive test for anterior cruciate ligament tears.